Topical drug that can cause Heterochromia Iridis
1. Timolol
2. Olopatadine
3. Latanoprost
4. Brimonidine

Correct answer: 3. Latanoprost

Explanation: Latanoprost, a PG analogue can cause heterochromia iridis in patients.